Which is not an AR disorder
1. Gyrate atrophy
2. Goldmann syndrome
3. Bardet-Biedl syndrome
4. Butterfly macular dystrophy

Correct answer: 4. Butterfly macular dystrophy

Explanation: D i.e. Butterfly macular dystrophy Inheritance of Fundus Dystrophies Autosomal Recessive (AR) Autosomal Dominant (AD) X-linked & variable Macular - Stargardt disease (juvenile - Juvenile Best disease - Alport syndrome dystrophies macular dystrophy)Q (vitelliform dystrophy) Q (XL dominant) - Fundus flavimaculatus - Adult vitelliform foveomacular - Bietti crystalline - Benign familial fleck retina dystrophy dystrophy (XL or - Labour congenital amaurosis - Familial drusen AR) - Bassen Karzweig syndrome Q - Sorsby pseudoinflammatory - Congenital - Refsum's disease - Usher's syndrome - Bardet-BiedVLaurence Moon Biedl syndrome Q macular dystrophy - North Carolina macualr dystrophy - Butterfly macular dystrophy Q - Dominant cystoid macular oedema stationary night blindness (AD,AR or XL) Choroidal - Gyrate atrophyQ - Central areolar choroidal - Choroideremia (x? dystrophies dystrophy linked recessive) - Diffuse choroidal atrophy - Helicoidal parapapillary chorioretinal degeneration - Pigmented paravenous retinochoroidal atrophy (AD, AR, XL, YL) Vitre retino- - Favre - Goldman syndrome Q - Stickler syndrome (Hereditary - Congenital pathies ahro-opthalmopathy retinoschisis (XL) - Erosive vitreoretinopathy - Familial exudative vitreoretinopathy (Criswick Schepens syndrome) AD>>XL recessive.